Angulation of a periodontal instrument refers to the
1. angle between the face of the blade and the shank
2. angle between the shank and the shaft
3. angle between the face of the blade and the tooth surface
4. angle between the shank and the tooth surface

Correct answer: 3. angle between the face of the blade and the tooth surface